Indications to use Collagen cross linking
1. Herpes infection
2. Fungal corneal ulcer
3. Pachymetry less than 400 nm
4. Severe dry eye

Correct answer: 2. Fungal corneal ulcer

Explanation: Riboflavin is used in collagen cross linking for keratoconus COLLAGEN CROSS LINKING C3R: Principle: Using riboflavin, we build up collagen cross links and provide cornea the strength to maintain its curvature f/b use contact lenses for few days. UV-A radiation 370 nm is used for 45 minutes. Indication: Keratoconus Post lasik ectasia Fungal corneal ulcer Corneal ectatic disorders CONTRAINDICTION Herpes infection Pachymetry less than 400 nm Severe dry eye